Fetal hydantoin syndrome is caused by -
1. Phenytoin
2. Alcohol
3. Tetracycline
4. Sodium valproate

Correct answer: 1. Phenytoin

Explanation: Ans. is 'a' i.e., Phenytoin Fetal hydantoin syndrome is characteristically associated with use of phenytoin in pregnancy.